Extremely low birth weight baby is less than -
1. 1 kg
2. 1.5kg
3. 2 kg
4. 2.5kg

Correct answer: 1. 1 kg

Explanation: Ans. is 'a' i.e., 1 Kg o Extremely low birth w eight new bornAny neonate weighing less than 1000 gm at birth irrespective of the gestational age.o .Appropriate for gestational age (appropriate for date)Babies with birth weight ranging between 10th to 90th percentile on such a chart are considered appropriate for date.o Small for gestational age (small for date)Babies with birth weight less than 10th percentile are categorized as small for dates,o Large for gestational age (large for date)Babies with birth weight more than 90th percentile are categorized as large for date,o Low birth weight new bornAny neonate weighing less than 2500 gm at birth irrespective of the gestational age.o Very low birth weight newbornAny neonate weighing less than 1500 gm at birth irrespective of the gestational age.o Extremely low birth weight newbornAny neonate weighing less than 1000 gm at birth irrespective of the gestational age.